Vaccine is what level of prevention
1. Primordial
2. Primary
3. Secondary
4. Tertiary

Correct answer: 2. Primary

Explanation: All vaccines/immunization are primary level of prevention.